Aflatoxin is produced by the fungus?
1. Aspergillus flavus
2. Aspergillus fumigatus
3. Aspergillus niger
4. Penicillium marneffei

Correct answer: 1. Aspergillus flavus

Explanation: Aflatoxin is a mycotoxin that is produced by the fungi Aspergillus flavus and Aspergillus parasiticus. Exposure to aflatoxin can cause hepatic necrosis later progressing to cirrhosis. It also acts as a carcinogen and can produce hepatocellular carcinoma.